Saints triad includes all except
1. Gall stones
2. Cholangitis
3. Diverticulosis
4. Hiatus hernia

Correct answer: 2. Cholangitis

Explanation: Saint's triad is a medical condition in which there is concurrence of gallstones,hiatus hernia,diverticulosis of colon. Reference:SRB's manual of surgery,5th edition,page no:641.